A 10 year old child develops hematuria after 2 days of diarhoea. Blood film shows fragmented RBCs. Which of the following is likely diagnosis-
1. Acute pyelonephritis
2. Disseminated intravascular coagulopathy
3. Haemolytic uremic syndrome
4. Haemolytic crises

Correct answer: 3. Haemolytic uremic syndrome